Which is true of Ulcerative colitis -
1. String sign of kantor positive
2. Skip lesions are seen
3. Rectum is always involved
4. Fistulas are common

Correct answer: 3. Rectum is always involved

Explanation: Ans. is 'c' i.e., Rectum is always involved